Inferior thyroid vein drains into
1. Internal jugular vein
2. Superior vena cava
3. Brachiocephalic vein
4. EXternal jugular vein

Correct answer: 3. Brachiocephalic vein

Explanation: The inferior thyroid veins emerge at the lower border of the isthmus. They form a plexus in front of the trachea and drain into the left brachiocephalic vein. Ref: BD Chaurasia's HUMAN ANATOMY, Volume 3, 4th edition.